7-year-old male child present with normal vision 6/6 in right eye & hand movement perception close to the face in left eye. On fundoscopy, his right eye was normal & left eye showed retinal detachment, subretinal yellowish exudates and telangiectatic vessels. The most likely diagnosis is?
1. Coats' disease
2. Sympathetic ophthalmitis
3. Familial exudative vitreoretinopathy
4. Retinopathy of prematurity

Correct answer: 1. Coats' disease

Explanation: Coats Disease Type of telangiectasia D/d of unilateral leukocoria More frequently in males Yellowish exudates around the vessels seen Neovascularization can be seen Seen in 1st decade of life Association with Turners syndrome seen Can cause retinal detachment. Elevated lesions are generally not present in contrast to Retinoblastoma.